Which of the following indicate bad prognosis in Schizophrenia?
1. Late age group
2. Family history of Mania
3. Type I Schizophrenia
4. Insidious onset

Correct answer: 4. Insidious onset

Explanation: Acute onset carries good prognosis and insidious onset carries bad prognosis.



Good Prognostic factors
Bad Prognostic factors


Acute onset
Insidious onset


Late age group
Early age group


Female
Male


Type I
Type II


Precipitating factors present
Precipitating factors absent


Family history of Mania
Family history of Schizophrenia.